Which of the following is precursor of CoA
1. Thiamine
2. Cobalamine
3. Pantothenate
4. Pyridoxamine

Correct answer: 3. Pantothenate

Explanation: CoA is involved in acetylation reactions. Patothenic acid / Pantothenate (Vitamin B5) is precursor of CoA.